An epidemiological hypothesis should specify the following except ?
1. Population
2. Time response relationship
3. Geographical trends
4. Expected outcome

Correct answer: 3. Geographical trends

Explanation: Ans. is `c' i.e., Geographical trends An epidemiological hypothesis should specify : - The population The expected outcome The time response relationship The specific cause The dose response relationship